Commonest site of intro peritoneal abscess is
1. Lesser sac
2. Greater sac
3. Pelvis
4. None of the above

Correct answer: 3. Pelvis

Explanation: Pelvic abscess in the most common site of intra peritoneal abscess.